Each of the following is true of cadherins and integrins, EXCEPT:
1. They are transmembrane glycoproteins
2. Both can associate with the actin cytoskeleton
3. Both represent gene families
4. Both may be found in zonula adherens junctions

Correct answer: 4. Both may be found in zonula adherens junctions

Explanation: Only cadherins are found in zonula adherens junctions.